Which of the following groups of amino acids produce a common component of the TCA cycle?
1. Alanine, isoleucine, leucine, lysine
2. Serine, asparagine, glycine, glutamate
3. Isoleucine, valine, methionine
4. Proline, leucine, tryptophan

Correct answer: 3. Isoleucine, valine, methionine